Glycoprotein II b / III a receptor antagonists is
1. Clopidogrel
2. Abeiximab
3. Tranoxaemic-acid
4. Ticlopidine

Correct answer: 2. Abeiximab

Explanation: (Abciximab) (573-KDT) (610-11-KDT 6th)Antiplatelet Drugs (Antithrombotic drugs)* Aspirin* Dipyridamole* Ticlopidine* Clopidogrel* * Glycoprotein lib /Ilia receptor antagonists - Abciximab, Eptifibatide and TirofibanAbciximab* Given along with aspirin + heparin during PTC A it has markedly reduced the incidence of restenosis, subsequent MI and death* Used in unstable angina and as adjuvant to coronary thrombolysis* Non antigenic, the main risk is haemorrhage. Thrombocytopenia is another complications.Antifibrinolvtics - EACA, Tranexaemic acid, Aprotinin